Dialysis is useful in poisoning with all of the following, EXCEPT:
1. Methyl alcohol
2. Barbiturates
3. Ethylene glycol
4. Copper sulphate

Correct answer: 4. Copper sulphate

Explanation: Dialysis is useful in poisoning with ethanol, methanol, salicylates, theophylline, ethylene glycol, phenobarbitone and lithium. Peritoneal and hemodialysis are useful in: Poisoning with water soluble compounds of low molecular weight Toxin with low volume of distribution Toxin with low serum protein binding Toxin not irreversibly bound to the tissues Properties of drugs or toxins eliminated by dialysis are: Water soluble Low degree of protein binding Low molecular weight (less than 500 Da) Small volume distribution (less than 1 litre/kg) Enhanced clearance by dialysis over native clearence Ref: Medicine By Mathew K.G., 3rd edn page 562.